The posterior mediastinum contains all of the following Except
1. The hemiazygos vein
2. The azygos vein
3. The thoracic duct
4. The brachiocephalic veins

Correct answer: 4. The brachiocephalic veins

Explanation: The brachiocephalic veins are in the superior mediastinum. They converge to form the superior vena cava. The separation between the superior mediastinum and the posterior mediastinum is an imaginary horizontal plane at the level of the fourth thoracic vertebra. The superior mediastinum contains both brachiocephalic veins and the superior vena cava, the aortic arch and the brachiocephalic, left common carotid and left sub clan arteries, the trachea, esophagus, and part of the thymus. The posterior mediastinum is the region of the thorax below the plane at the fourth thoracic vertebra, between the pleural cavities and behind the pericardial sac.